For maturity estimation, amniotic fluid cells are stained with :
1. Nile blue sulphate
2. Methylene blue
3. Mucicarmine
4. Sudan black

Correct answer: 1. Nile blue sulphate

Explanation: Nile blue sulphate